Which of the following heavy metal poisoning may cause colitis that resembles diptheritic colitis ?
1. Lead
2. Arsenic
3. Mercury
4. Copper

Correct answer: 3. Mercury

Explanation: Diphtheria like membranous colitis is caused by mercury poisoning.